Length of tibia is ?
1. 10% of height
2. 20% of height
3. 30% of height
4. 40% of height

Correct answer: 2. 20% of height

Explanation: Ans. is 'b' i.e., 20% of height Stature is determined in dismembered body (skeletal remains) by : Length from the tip of middle finger to the tip of opposite middle finger when arms are fully extended. Twice the length of one arm + 30 cm (of two clavicles) + 4 cm (for the sternum). Humerus length is 1/5th of height. The length from the vertex to the symphysis pubis is half of the total length. The length from the sternal notch to Symphysis pubis x 3-3. The length of forearm measured from tip of middle finger is =5/19 of total length. The height of head measured by the vertical distance from the top of the head (vertex) to the tip of chin = 1/8 of the total length. The length of vertebral column = 34/100 of total length. To the length of entire skeleton, add 2.5 to 4 cm for thickness of the soft parts. As a general rule humerus is 20%, tibia is 22%, femur is 27% and spine is 35% of individual height.